Vitamin A requirement in infant is -
1. 350 mg
2. 600 mg
3. 800 mg
4. 1000 mg

Correct answer: 1. 350 mg

Explanation: - daily intake of vitamin A recommended by ICMR for infants is 350 mcg retinol. - daily intake of vitamin A recommended by ICMR for infants is 2800 mcg beta carotene. Reference : Park's textbook of preventive and social medicine, 23rd edition, pg no:616